A client who had a transsphenoidal hypophysectomy should be watched carefully for hemorrhage, which may be shown by which of the following signs?
1. Bloody drainage from the ears
2. Frequent swallowing
3. Guaiac-positive stools
4. Hematuria

Correct answer: 2. Frequent swallowing

Explanation: Frequent swallowing after brain surgery may indicate fluid or blood leaking from the sinuses into the oropharynx.

Option A: Blood or fluid draining from the ear may indicate a basilar skull fracture.